Scottish terrier sign is seen in:
1. AP view
2. PA view
3. Lateral view
4. Oblique view

Correct answer: 4. Oblique view

Explanation: Ans. Oblique view